RPI stands for:
1. Occlusal rest, proximal plate, I bar
2. Cingulum rest, proximal plate, I bar
3. Rest, proximal guide plane, I bar
4. Rest, proximal plate, indirect retainer

Correct answer: 1. Occlusal rest, proximal plate, I bar